The cutaneous innervation over the medial aspect of the elbow is represented by which dermatome?
1. C5
2. C6
3. C7
4. T1

Correct answer: 4. T1

Explanation: The area of skin supplied by a single spinal (segmental) nerve is known as a dermatome. The medial surface of the upper arm is supplied by the T2 dermatome, and the medial aspect of the lower arm, elbow, and proximal forearm by the T1 dermatome. The T1 and T2 dermatomes frequently receive referred pain from the heart.